Drugs used in neutropenic patients should be:
1. Bactericidal
2. Bacteriostatic
3. Highly potent
4. Be given by IV route

Correct answer: 1. Bactericidal

Explanation: aRef: KDT, 5th ed, p. 683 & 4th ed, p. 735